Green coloured urine is seen in:
1. Copper sulphate
2. Opium
3. Nitric acid
4. Phenol

Correct answer: 4. Phenol

Explanation: Ans: d (Phenol) Ref:Reddy, 27th ed, p. 469In phenol poisoning (carbolic acid) green coloured urine is passed which is called carboluria. Il is due lo the presence of oxidized hydroquinone and pyrocatechol in urine. They are derivatives of phenol. The hydroquinone and pyrocatechol cause pigmentation in the cornea and various cartilages - Ochronosis.Brown colored urine is seen in nitric acid poisoning.Appearance of stomach in various poisoningCarbolic acid: Thickened leathery brown stomachOxalic acid: Bleached up appearanceNitric acid: Distended abdomenArsenic: Velvetty stomachAlkali: Chocolate coloured mucosaSulphuric acid: Brown coloured mucosaPotassium: Brown coloured mucosapermanganate BRIDGEAcetic acid produces hemoglobinuriaCarbolic poisoning is the only corrosive acid poisoning where stomach wash can be given.